Which of the following stones is hard to break by ESWL:
1. Calcium Oxalate Monohydrate
2. Calcium Oxalate Dihydrate
3. Uric acid
4. Struvite

Correct answer: 1. Calcium Oxalate Monohydrate

Explanation: Answer is A (Calcium Oxalate Monohydrate): Calcium Oxalate Monohydrate Stones (and cysteine) stones are very hard to break by ESWL. 'Very hard stones such as cysteine or calcium oxalate monohydrate are more likely to fail ESWL'. `Likelihood offragmentation with ESWL depends on stone composition. Less effective for stones composed of cystine or calcium oxalate monohydrate (very hard)' - Oxford handbook of urology (2005)/366 'Softer stones (calcium oxalate dehydrate, uric acid, apatite, and struvite) are more easily fragmented with SWL than are harder stones (calcium oxalate monohydrate, brushite, and cystine) -